Tyrosine enters gluconeogenesis by forming which substrate -
1. Succinyl CoA
2. a-ketoglutarate
3. Fumarate
4. Citrate

Correct answer: 3. Fumarate

Explanation: Ans. is 'c' i.e., Fumarateo TCA cycle intermediates are substrate for gluconeogenesis.o Gluconeogenic amino acids enter TCA cycle after their transamination into various intermediates of TCA cycleHistidine, proline, glutamine and arginine are converted to glutamate which is then transaminated to a-ketoglutarate.Isoieucine, methionine and valine enter by conversion into succinyl Co A. Propionate (a short chain fatty acid) also enter at this level.Tyrosine, and phenylalanine enter by conversion into fumarate.Tryptophan is converted to alanine which is then transaminated to pyruvate.Hydroxyproline, serine, cysteine, threonine and glycine enter by conversion into pyruvate.